Usual size of a chocolate cyst of the ovary is about?
1. 1 inch in diameter
2. 2 inches in diameter
3. 4 inches in diameter
4. 6 inches in diameter

Correct answer: 2. 2 inches in diameter

Explanation: Ans. is 'b' i.e., 2 inches in diameterIt is 3-5 ems.